Child's Child-Turcotte-Pugh is used in :
1. Pancreatitis
2. Cirrhosis
3. Multiple myeloma
4. AIDS

Correct answer: 2. Cirrhosis

Explanation: The Child-Turcotte-Pugh (CTP) score was originally developed to evaluate the risk of portacaval shunt procedures secondary to portal hypertension and subsequently has been shown to be useful in predicting surgical risks of other intra-abdominal operations performed on cirrhotic patients. Numerous studies have demonstrated overall surgical mortality rates of 10% for patients with class A cirrhosis, 30% for those with class B cirrhosis, and 75 to 80% for those with class C cirrhosis. Ref : Tsung A. (2010). Chapter 31. Liver. In T.R. Billiar, D.L. Dunn (Eds), Schwartz's Principles of Surgery, 9e.